Most diffusable ion in excitable tissue is :
1. Na.
2. K.
3. PO4
4. Cl

Correct answer: 2. K.

Explanation: B i.e. K+ potassium ion is most diffusible ion